Posterior column lesion which of the following is not affected:
1. Vibration
2. Temperature
3. Fine touch
4. Position sense

Correct answer: 2. Temperature

Explanation: B i.e. Temperature